Candida albicans causes all of the following except -
1. Endocarditis
2. Mycetoma
3. Meningitis
4. Oral thrush

Correct answer: 2. Mycetoma